Which is not seen in middle 3rd fracture of nose
1. Face lengthening
2. Face shortening
3. Teeth malocclusion
4. CSF rhinorrhea

Correct answer: 2. Face shortening

Explanation: Clinical features Malocclusion of teeth with anterior open bite Elongation of the mid face Mobility in the maxilla CSF Rhinorrhoea. Face shortening is not seen. ( Ref: Textbook of diseases of ENT, PL Dhingra, 7th edition, pg no. 207)